Pronator teres syndrome is related to which nerve
1. Radial
2. Median
3. Ulnar
4. Axillary

Correct answer: 2. Median

Explanation: The median nerve leaves the cubital fossa by passing between the humeral(superficial) and ulnar (deep) heads of pronator teres. The nerve here is subject to entrapment neuropathy leading to pronator teres syndrome. The other nerves don't course between the two heads of pronator teres. Reference: clinical anatomy for students, a problem-solving approach, Neeta v Kulkarni, page no.107